All are derivatives of paramesonephric duct except:
1. Appendix of testis
2. Hydatid of morgai
3. Uterus
4. Gartner's duct

Correct answer: 4. Gartner's duct

Explanation: Paramesonephric ducts (or Mullerian ducts) are paired ducts of the embryo that run down the lateral sides of the urogenital ridge and terminate at the sinus tubercle in the primitive urogenital sinus In the female, they will develop to form the uterine tubes, uterus, cervix, and the upper one-third of the vagina; in the male, they are lost These ducts are of mesodermal origin. During the formation of the reproductive system, the paramesonephric ducts are formed just lateral to the mesonephric ducts in both female and male embryos 6 weeks after fertilization. During this time primordial germ cells migrate from the yolk sac to the gonadal ridge; a region of mesenchyme arising from and running parallel with the mesonephros. The paramesonephric ducts are formed by the craniocaudal invagination of a ribbon of thickened coelomic epithelium that extends from the third thoracic segment caudally to the posterior wall of the urogenital sinus. The caudal parts of the paramesonephric ducts fuse into a single tube, known as the uterovaginal primordium, before flowing into the dorsal aspect of the urogenital sinus at the sinus tubercle directly medial to the mesonephric ducts.